MC Type of female pelvis
1. Gynaecoid
2. Anthropoid
3. Android
4. Platy pelloid

Correct answer: 1. Gynaecoid

Explanation: Ans. (a) Gynaecoid